A factory worker presents with excessive salivation, blue lines on gums, tremors, disturbed personality, insomnia and loss of appetite. The most likely poisoning is:
1. Mercury
2. Lead
3. Arsenic
4. Phosphorus

Correct answer: 1. Mercury

Explanation: A i.e. Mercury